Which of the following is not a CT feature ofAdrenal adenoma –
1. Low attenuation
2. Homogenous density and well defined borders
3. Enhances rapidly, contrast stays in it for a relatively longer time and washes out late
4. Calcification is rare

Correct answer: 3. Enhances rapidly, contrast stays in it for a relatively longer time and washes out late

Explanation: Adrenal adenoma on contrast-enhanced CT/MRI shows rapid uptake and relatively rapid washout of contrast material than do non adenomasQ.
Adenoma: CT features

Well defined/sharply defined 
<5 cm in size
Low attenuation (<10 HU) due to lipid content
Mild homogenous enhancement
Relatively rapid washout of contrast material (due to lack of large interstitial spaces
Relatively rapid washout is characteristic of adenoma